Artery supply to Koch's triangle is from:
1. Right coronary artery
2. Left coronary artery
3. Left anterior descending artery
4. Artery from anterior aortic sinus

Correct answer: 1. Right coronary artery

Explanation: Koch's triangle (and AV node) is supplied by right coronary artery in majority of population. Koch's triangle boundaries tendon of Todaro opening of coronary sinus at the base septal cusp of tricuspid valve (. atrio ventricular valve) AV node at apex